Which of the following is not a usual feature of right middle cerebral artery territory infarct
1. Aphasia
2. Hemiparesis
3. Facial weakness
4. Dysarthria

Correct answer: 1. Aphasia